Naturally occurring local anesthetic:
1. Cocaine
2. Procaine
3. Lignocaine
4. Bupivacaine

Correct answer: 1. Cocaine

Explanation: aRef: KDT, 5th ed, p. 324 & 4th ed, p. 165